Ebola virus transmission occurs through all except
1. Skin  - skin contact
2. Respiratory droplets
3. Infected body fluids
4. Infected body tissues

Correct answer: 2. Respiratory droplets

Explanation: Ebola transmission occurs through direct skin - skin contact, exposure to infected bodily fluids and tissues. there is no evidence of transmission by aerosol or respiratory droplets.